The tensor tympani muscle is inserted to the handle of malleus. The nerve supply to tensor tympani is:
1. Vagus nerve
2. Glossopharyngeal nerve
3. Trigeminal nerve
4. Facial nerve

Correct answer: 3. Trigeminal nerve

Explanation: The motor pure branches of mandibular division of trigeminal nerve:Masseteric nerve (masseter muscle)Deep temporal nerves (temporalis muscle)Pterygoid nerves (pterygoid muscles)Nerve of the tensor tympani muscleNerve to the tensor veli palatini muscleRef: Keith L Moore, 7th Edition, Page 207.